Phocomelia is-
1. Absence of long bones
2. Absence of brain
3. Reduplication of bones
4. Absence of heart

Correct answer: 1. Absence of long bones

Explanation: Ans. is 'a' i.e., Absent long bones 'Phacomelia' o Is a term applied to a marked reduction in the size of limbs The distal part of the limbs are placed very near the trunk (absent long bones). o Seen in foetuses of mothers who recieved thalidomide during pregnancy.